Gene for retinoblastoma is located on -
1. Chromosome 13
2. Chromosome 1
3. Chromosome 10
4. Chromosome 5

Correct answer: 1. Chromosome 13

Explanation: Ans. is 'a' i.e., Chromosome 13Location of Important Genes on ChromosomesGeneChromosomeGeneChromosomep73I pRET10Folate transporter21qWT-1llpNeuroblastoma1pvWF12Rhodopsin3Retinoblastoma13qVHL3pBRCA-113qADPKD-24qBRCA-217qADC5pFibrillin-115MHC6pFibrillin-25ARPKD6NF-117qCystic fibrosis7qp5317qMET7NF-222q